Examples of metaplasia are the following except -
1. Breast enlargement at puberty
2. Barrets esophagus
3. Myositis Ossificans
4. Respiratory tract in chronic smokers

Correct answer: 1. Breast enlargement at puberty

Explanation: Ans. is 'a' i.e., Breast enlargement at pubertyAtrophyHypertrophyHyperplasiaMetaplasiao Reduced size of an organ or tissue resulting from a decrease in cell size and numbero Caused by ischemia aging, malnutrition etc.o May result due to the chronic absence of a stimulus (disuse atrophy).o Increase in the size and function of cells.o Results due to increase in growth factors or trophic stimuli.o Includes puberty lactating breasts and skeletal muscle fibers (in bodybuilders).o Increase in a number of cells in tissues/organ.o Results due to increase in growth factors increased expression of growth-promoting genes and increased DNA synthesis.o It persists so long as the stimulus is present,o e.g. breast development at puberty, endometrial hyperplasia, benign hyperplasia of prostate, hyperplasia of liver cells after partial hepatectomyo Reversible change in which one differentiated cell type (epithelial or mesenchymal) is replaced by another cell type,o Results from "reprogramming" of stem cells that are known to exist in normal tissues, or of undifferentiated mesenchymal cells in connective tissue.